A Case-Control Study is not characterized by
1. Definition of cases may be difficult
2. Assessment of past exposure may be biased
3. Incidence rates may be computed directly
4. Cases with the disease are compared to controls without the disease

Correct answer: 3. Incidence rates may be computed directly

Explanation: We cannot measure the incidence and can only estimate the relative riskAdvantages of Case-Control StudiesThey are efficient for rare diseases or diseases with a long latency period between exposure and disease manifestation.They are less costly and less time-consuming; they are advantageous when exposure data is expensive or hard to obtain.They are advantageous when studying dynamic populations in which follow-up is difficult.Disadvantages of Case-Control StudiesThey are subject to selection bias.They are inefficient for rare exposures.Information on exposure is subject to observation bias.They generally do not allow calculation of incidence (absolute risk).Park 23e pg: 74